Sago spleen is seen in
1. Infarction
2. Amyloidosis
3. Chronic venous congestion
4. Tuberculosis

Correct answer: 2. Amyloidosis

Explanation: i.e. (Amyloidosis): (90-Harshmohan 6th) (254-Robbin & Cotran 8th)Sagospleen & Lardaceous spleen - common pattern of amyloid deposition in the spleenSAGO-SPLEEN : characteristic translucent pale and waxy nodules resembling sago grains (tapoica like granules)LARDACEOUS - SPLEEN - shows map-like areas of amyloid lardaceous lard-like; lard means fat of pigsGamma-Gandy bodies or sidero fibrotic nodules which are deposits of haemosiderin pigment and calcium salts on fibrous connective tissue and elastic fibre are features of CVC of spleenNut-meg liver gross appearance of liver seen in chronic passive congestion of liver**